Drugs that are administered IV are
1. Rapidly absorbed
2. Subject to first-pass metabolism
3. 100% bioavailable
4. All of the above

Correct answer: 3. 100% bioavailable

Explanation: ABSORPTION Absorption is movement of the drug from its site of administration into the circulation.Except when given i.v., the drug has to cross biological membranes. Bioavailability of drug injected i.v. is 100%. parenteral Conventionally, parenteral refers to administration by injection which takes the drug directly into the tissue fluid or blood without having to cross the enteral mucosa. Drug action is faster and surer (valuable in emergencies). Gastric irritation and vomiting are not provoked. Parenteral routes can be employed even in unconscious, uncooperative or vomiting patient. Liver is bypassed. Ref:- kd tripathi; pg num:-8,14,16,